False about gradenigo's syndrome is
1. Retrobulbar pain
2. Otitis media
3. Facial palsy
4. Petrositis

Correct answer: 3. Facial palsy

Explanation: Gradenigo's syndrome consists of: Ear discharge (suppurative otitis media) Diplopia (CN VI paralysis) Retro-orbital pain (CN V) involvement. It is due to petrositis - a complication of otitis media. (Ref: Textbook of diseases of ENT, PL Dhingra, 7th edition, pg no. 508)